Schedule-3 of MCI includes -
1. MBBS degree of indian universities
2. DNB degree
3. Diploma of CPS
4. MBBS degree of foreign universities

Correct answer: 3. Diploma of CPS

Explanation: Ans. is 'c' i.e., Diploma of CPS Schedules of MCI Acto MCI was established in 1934 and MCI act was revised in 1956,1964,1993,1999, and 2002. The schedules of MCI includes list of medical degrees recognized by MCI :-Schedule 1Includes list of recognised degrees awarded by Indian universities7^(tm)5 ll) and also DNB awardedby National Board of Examination, New Delhi.Schedule 2 Includes list of recognized medical degrees awarded by foreign universities^7^.Schedule 3 Includes list of medical qualifications awarded by Indian or foreign boards or societies, but are notincluded in schedule 1 or 2. It has two partsPart I: Includes list of recognized degrees other than MBBS awarded by Indian Societies and Boards, e.g LMPand diploma of CPS.Part II: Includes list of recognized degrees other than MBBS awarded by Foreign Societies and Boards.